Super imposition technique is used in :
1. Skull
2. Pelvis
3. Femur
4. Ribs

Correct answer: 1. Skull

Explanation: A i.e. Skull